Most common indication for liver transplant in children is -
1. Viral hepatitis with fulminant hepatic failure
2. Biliary atresia
3. Metabolic disease
4. Hepatic tumor

Correct answer: 2. Biliary atresia

Explanation: Ans. is 'b' i.e., Biliary atresia Pediatric liver transplantationo Biliary atresia is commonest indication for liver transplantation in pediatric age group.o Other causes are : -Progressive primary liver diseaseStable liver disease with significant morbidityMetabolic liver diseaseFulminant hepatic failure